Injury caused by pedestrian in a vehicular accident due to striking to the object on road is known as:
1. Primary injury
2. Secondary injury
3. Acceleration injury
4. Deceleration injury

Correct answer: 2. Secondary injury

Explanation: Ans. b (Secondary injury). (Ref. Textbook of FMT by Parikh 6th ed. 4.133)PEDESTRIAN INJURIES1Primary injuryPrimary impact injury is by vehicle striking the victim.2Secondary injurySecondary is due to victim fall on the ground or stationary object..3Secondary impact injuryThose due to initial impact of vehicle and those due to subsequent impact from being lifted on to vehicle after initial impact.4Degloving injuries-